Which of the following is not a feature of extramedullary syndrome?
1. Root pain
2. Sacral sparing
3. Abnormal
4. Early corticospinal tract involvement

Correct answer: 2. Sacral sparing

Explanation: Intramedullary tumors arising from the central part of the cord often spare sensation over the sacral region ("sacral sparing") because of the somatotopic organization of the spinal cord, in which the sacral sensory fibers are at the most peripheral position within the spinal cord. Ref Davidson 23rd edition pg 455